Components of 60 S subunit of ribosome are:
1. 5.8 S
2. 23 S
3. 16 S
4. 18 S

Correct answer: 1. 5.8 S

Explanation: A, i.e. 5.8 S